In cases of burn, which is the fluid of choice in first 24 hours?
1. Ringer Lactate
2. Normal saline
3. 5% Dextrose
4. Blood

Correct answer: 1. Ringer Lactate

Explanation: Ans is 'a' i.e. Ringer lactate